Regarding the hip joint, which of the following statements is true ?
1. Retinaculum attaches femur to hip
2. Inferior gluteal nerve supplies the abductors of the hip
3. Capsule is attached to the intertrochanteric line
4. iliopsoas cuses abduction of hip

Correct answer: 3. Capsule is attached to the intertrochanteric line

Explanation: Superior gluteal nerve supplies the abductors of the hip-gluteus medius and gluteus minimus. Iliopsoas causes flexion of hip. Capsule is attached to acetabular labrum on hip bone and intertrochanteric line on femur.